A patient after alcoholic drink fell asleep in chair overnight with hanging arm and develops Saturday Night Palsy. Which of the following best describes the clinical manifestations?
1. Neuropraxia
2. Axonotmesis
3. Neurotmesis
4. Necroptosis

Correct answer: 1. Neuropraxia

Explanation: Ans. (a) NeuropraxiaRef: Maheshwari 5th ed. 169* In most cases of compressive radial neuropathy, the type of injury is a "neuropraxia" that does not involve damage to the axon.* Neuropraxia is classified as a transient conduction block of motor or sensory function without neuronal degeneration. Therefore, despite decreased motor function, patients with neuropraxia are able to regain normal neurologic function within several weeks to months.* Posture-induced radial neuropathy, known as Saturday night palsy, occurs because of compression of the radial nerve. The clinical symptoms of radial neuropathy are similar to stroke or a herniated cervical disk, which makes it difficult to diagnose. NeurotmesisAxonotmesisNeurapraxiaPathological Anatomical continuityMay be lostPreservedPreservedEssential damageComplete disorganisation,Schwann sheaths preservedNerve fibres interruptedSelective demyellnation of larger fibres, no degeneration of axonsClinical Motor paralysisCompleteCompleteCompleteMuscle atrophyProgressiveProgressiveVery littleSensory paralysisCompleteCompleteUsually much sparingAutonomic paralysisCompleteCompleteUsually much sparingElectrical phenomena Reaction of degenerationPresentPresentAbsentNerve conduction distal to the lesionAbsentAbsentAbsentMotor-unit action potentialsAbsentAbsentAbsentFibrillationPresentPresentOccasionally detectableRecovery Surgical repairEssentialNot necessaryNot necessary